All are true about postmortem staining except -a) Occur immediate after deathb) Common in dependent partc) Disappear with rigor mortisd) Margins are raisede) Not found in internal organ
1. bce
2. bde
3. acde
4. abde

Correct answer: 3. acde

Explanation: Postmortem staining is an early sign (not immediate sign) of death → option 'a' is incorrect.
It occurs in dependent part of body and internal organs → option 'b' is correct and option `e' is incorrect
It disappears when putrefaction sets in → option 'c' is incorrect.
It does not appear elevated but margins are shapely defined → option 'd' is incorrect.